A 7 year old girl from Bihar presented with three episodes of massive hematemesis and melena. There is no history of jaundice. On examination, she had a large spleen, non-palpable liver and mild ascites. Portal vein was not visualized on ultrasonography. Liver function tests were normal and endoscopy revealed esophageal varices. The most likely diagnosis is -
1. Kala azar with portal hypertension
2. Portal hypertension of unknown etiology
3. Chronic liver disease with portal hypertension
4. Portal hypertension due to extrahepatic obstruction

Correct answer: 4. Portal hypertension due to extrahepatic obstruction

Explanation: Ans. is 'd' i.e., Portal hypertension due to extrahepatic obstruction Splenomegaly and esophageal varices point to the diagnosis of portal hypertension while absence of jaundice and deranged liver function test indicate an extrahepatic etiology. Differentiation between Extrahepatic and Hepatic / Post hepatic portal hypertension o Post sinusoidal and hepatic causes of portal hypertension will have evidence of Liver parenchymal damage / deranged LFT (jaundice) a dilated portal vein on ultrasonography o Extrahepatic presinusoidal obstruction will not have any effect on the Liver and hence there will be no evidence of hepatocellular damage. No jaundice / No raised deranged LFT Also non visualization of portal vein is a characteristic of portal vein thrombosis, an Extrahepatic cause. o Esophageal varices and splenomegaly are a manifestation of portal hypertension and will be present in all the above sites of obstruction.